Integrated management of childhood illness (IMCI) intiative was taken to prevent morbidity and mortality from all of the following except –
1. Malaria
2. Malnutrition
3. Otitis Media
4. Neonatal tetanus

Correct answer: 4. Neonatal tetanus